Ligamentum teres is formed from which of the following embryologic structure?
1. Umbilical artery
2. Umbilical vein
3. Urachus
4. Persistent vitellointestinal duct

Correct answer: 2. Umbilical vein

Explanation: Ligamentum teres of the liver is a remnant of left umbilical vein. Medial umbilical ligaments is a remnant of Umbilical arteries. Ligamentum venosum is a remnant of ductus venosus. Ligamentum arteriosum is a remnant of ductus arteriosus. Ref: Human Embryology 6th Ed Page 259.